If a muscle is resected what happens?
1. Muscle strength will increase
2. Muscle will decrease
3. No change
4. a or b

Correct answer: 1. Muscle strength will increase

Explanation: Ans. a (Muscle strength will increase). (Ref. Parson, Diseases of Eye, 18th/pg.348)Strengthening procedures for weak muscles of eye iin a patient with squint are1. Resection: Effective pull on muscle is enhanced by making it shorter and is suitable only for recti.2. Advancement: Muscle is disinserted and then reinserted nearer to limbus.3. Tucking/plication: This effectively shortens muscle and is usually reserved for superior oblique muscle in 4th nerve palsy.Approximately 1 mm resection/recession of mediial rectus corrects about 3 degree of deviation and for lateral rectus about 2 degree.